Fetal anemia is detected on Doppler of :
1. Uterine artery
2. Umbilical artery
3. Middle cerebral artery
4. Any of the above

Correct answer: 3. Middle cerebral artery

Explanation: In fetal anaemia due to Rh ISO immunization,the peak systolic velocity in the middle cerebral artery is increased. refer pgno:513 sheila textbook of obstetrics 2 nd edition